Point prevalence studies tend to over estimate the occurence of which of the following diseases?
1. Diseases with a high incidence
2. Disease with a long duration
3. Disease with a high mortality
4. Diseases with a short duration

Correct answer: 2. Disease with a long duration

Explanation: .point prevalence of a disease is defined as the number of all current cases old and new of a disease at one point of time.point prevalence can be made specific for age,sex,and other relevant factors or attributes. prevalence studies are mainly employed in the study of those diseases which have a longer duration of action. ref:park's textbook,ed 22,pg no 59